Repair of cleft lip should be undertaken at:
1. 4 weeks
2. 6 weeks
3. 8 weeks
4. 10 weeks

Correct answer: 4. 10 weeks

Explanation: Timing of Lip Repair: The classic "rule of tens" is still a reasonable guideline for lip repair: 10 weeks of age, a weight of 10 pounds, and hemoglobin of 10 have been considered prerequisites for lip repair. This is partly based on anesthetic safety, which is probably a little better with increased age. The timing of the lip repair must be individualized for the patient.